ANF is mediated by (ANF: Atrial natriuretic factor):
1. Inositol phosphate
2. DAG
3. CyAMP
4. CyGMP

Correct answer: 4. CyGMP

Explanation: D i.e. CyGMP